Which of the following has the highest potential of progression into a cancer?
1. Adenomatous polyp
2. Juvenile polyp
3. Hyperplastic polyp
4. Hamartomatous polyp

Correct answer: 1. Adenomatous polyp

Explanation: Ans. (a) Adenomatous polypRef: Sabiston 20th edition, Page 1363* Highest malignant potential is villous adenoma > tubular adenomatous polyps